All of the following are seen in Bell's palsy except -
1. Ipsilateral-facial palsy
2. Ipsilateral-loss of taste sensation
3. Hyperacusis
4. Ipsilateral ptosis

Correct answer: 4. Ipsilateral ptosis

Explanation: Clinical features of Bell's palsy 

Acute onset, ipsilateral facial paralysis.
Facial paralysis is usually preceded by pain behind the ear.
The patient is unable to close his eyes.
Bell's phenomenon, i.e. on attempting to close the eye, eyeball turns up and out.
The face becomes asymmetrical and saliva dribbles from the angle of the mouth.
Ipsilateral loss of taste sensation, salivation and lacrimation.
Intolerance to high pitched or loud sound (hyperacusis).
Most patients (80%) recover within a few weeks to months.